All of the following are useful in the intravenous therapy for hypertensive emergencies except
1. Fenoldopam
2. Urapidil
3. Enalaprilat
4. Nifedipine

Correct answer: 4. Nifedipine

Explanation: Ans. (D) Nifedipine(Ref: Katzung 10/e p145, 179: KDT 8th/e p618, 619)Nifedipine can be used rarely for the rapid control of blood pressure but the route of administration is sublingual. Fenoldopam is a D1 agonist used i.v. for hypertensive emergencies whereas urapidil is an a blocker. Enalaprilat (not enalparil) can also be used for the same indication.